The best site to obtain a swab in asymptomatic gonorrhea is -
1. Endocervix
2. Urethra
3. Lateral vaginal wall
4. Posterior fornix

Correct answer: 1. Endocervix